A 60 year old man is diagnosed to be suffering from LEGIONNAIRES disease after returning home from attending a convention.He could have acquired it-
1. From a person suffering from the infection while travelling in a aeroplane
2. From a chronic carrier in the convention center
3. From inhalaion of the aerosol in air conditioned room at convention center
4. By sharing an infected towel with a fellow delegate at the convention

Correct answer: 3. From inhalaion of the aerosol in air conditioned room at convention center